Which of the following organism is responsible for vesicular eruptions and 'honey-coloured' crusts over face:
1. TB bacilli
2. Staphylococcus aureus
3. Hansen's bacilli
4. Herpes zoster

Correct answer: 2. Staphylococcus aureus

Explanation: Ans. B: Staphylococcus Aureus Impetigo contagiosa is caused commonly by staph. aureus in developed countries Morphologically, thin walled bulla (seldom seen) on an erythematous base are seen which ruptures to form an exudative plaque covered with honey-colored crusts Dermatological diseases caused by staphylococcus aureus: SSSS/ staphylococcal scalded skin syndrome Bullous impetigo/ Impetigo contagiosa Furuncles/ boils Sycoris barbae and sycoris nuchae